HbsAg carrier state is not associated with:
1. Down's syndrome
2. Chronic renal failure
3. Poly-aeritis nodosa (PAN)
4. Infectious mononucleosis

Correct answer: 4. Infectious mononucleosis

Explanation: Glomerulonephritis with the nephrotic syndrome is observed occasionally; HBsAg, Ig and C3 deposition has been found in the glomerular basement membrane. Polyarteritis Nodosa develops in fewer than 1% of patients with chronic HBV infection, 20-30% of patients with PAN have HBsAg in serum. Due to decreased humoral response and repeated admissions in hospital in childhood patients of Down's have a higher prevalence of hepatitis B infection.